Which of the following muscle is responsible for opening the jaw
1. Medial pterygoid
2. Lateral pterygoid
3. Masseter
4. Temporalis

Correct answer: 2. Lateral pterygoid

Explanation: Jaw opening or depression of mandible is caused by contraction :

Digastric.
Geniohyoid.
Mylohyoid.
Lateral pterygoid.